Type II paralysis in organophosphorous poisoning treatment is ?
1. Atropine
2. Oximes
3. Symptomatic treatment
4. No treatment

Correct answer: 3. Symptomatic treatment

Explanation: Ans. is 'c' i.e., Symptomatic treatment Paralysis due to organophosphate (OP) poisoning can be three types ? 1. Type I (cholinergic phase) Treatment of choice is atropine with or without oximes. 2. Type II It is also called as intermediate syndrome. It develops 1-4 days after resolution of acute cholinergic symptoms. It is manifested as paralysis and respiratory distress. It involves proximal muscles with relative sparing of distal muscle groups. The pathogenesis presumed to be dysfunction of neuromuscular junction caused by downregulation of presynaptic and postsynaptic nicotinic receptors due to release of excessive Ach and Ca' respectively. Atropine is ineffective, symptomatic treatment is given. 3. Type III